A 45 year old female presents with symptoms of acute cholecystitis. On USG there is a solitary gallstone of size 1.5 cm. Symptoms are controlled with medical management. Which of the following is the most appropriate step in the management of this patient
1. Regular follow up
2. IV Antibiotics
3. Laparoscopic cholecystectomy immediately
4. Open cholecystectomy immediately

Correct answer: 3. Laparoscopic cholecystectomy immediately

Explanation: Treatment of Acute Cholecystitis Early cholecystectomy performed within 2 to 3 days (within 72 hours) of presentation is preferred over interval or delayed cholecystectomy that is performed 6 to 10 weeks after initial medical therapy Laparoscopic cholecystectomy is the preferred approach to patients with acute cholecystitis Ref: Sabiston 20th edition Pgno :1494